Alkaline diuresis is effective in management of poisoning by following agents:
1. Phenobarbitone
2. Lead
3. Iron
4. Organophosphates

Correct answer: 1. Phenobarbitone

Explanation: Ans. A. Phenobarbitonea. Urine alkalinization by NaHCO3 enhances the elimination of weak acids, e.g. salicylates, phenobarbitone, and methotrexate. Atropine, amphetamine and morphine are examples of basic drugs. Their elimination would be increased by acidification of urineb. Urine alkalization - overdose of acidic drugs (salicylates, barbiturates, methotrexatesc. Urine acidification - overdose of Basic drugs like Amphetamines, morphine etc.